Criteria for fetal growth are all except :
1. Height of uterus
2. Maternal weight gain
3. USG measurement of biparietal diameter
4. USG measurement of fetal abdominal circumference

Correct answer: 2. Maternal weight gain

Explanation: Ans. is b i.e. Maternal weight gain Following parameters are used to assess fetal growth (or to diagnose IUGR) : Maternal weight gain : Maternal weight gain is an insensitive index of fetal growth. The association between poor maternal weight gain and small babies has been demonstrated in one study but most of the studies have found that this association has questionable clinical value and that the weight gain is normal in a significant number of mothers who deliver small babies. Uterine fundal height : Measurement of the uterine fundal height is the most common method used to clinically estimate fetal growth. (i.e. option 'a" is correct). Fundal height is measured in centimeters from the upper border of the pubic symphysis to the top of the fundus the uterus.